For the following statements, select the most likely type of thyroid cancer.Has the best prognosis of all thyroid malignancies.
1. anaplastic thyroid cancer
2. follicular cancer of the thyroid
3. lymphoma of the thyroid
4. papillary cancer of the thyroid

Correct answer: 4. papillary cancer of the thyroid

Explanation: Papillary cancer has the best prognosis of all thyroid cancers. Although it is 7 times more common than follicular cancer, fewer people die from it. Even with follicular cancer, most patients will die of other diseases. In common with other thyroid cancers, age seems to be an independent risk factor for poor prognosis.